Drug used for intralesional injection of keloid is -
1. Prednisolone
2. Triamcinolone
3. Androgen
4. Hydrocortisone

Correct answer: 2. Triamcinolone

Explanation: Triamcinolone acetonide is the drug used for intralesional injection of steroid.

Also know

Treatment of hypertropic scars  
Since nearly all hypertrophic scars undergo some degree of spontaneous regression, they are not t/t in early phases. If the scar is still hypertrophic after 6 months surgical excision and primary closure of the wound is indicated.
Other modalities used for t/t of HTS.
Pressure application - particularly useful for burn scars.
Silicone sheet application
Intralesional injection of triamcinolone is the t/t of choice for intractable HTS.